Use of wadding in a smooth bore gun rifle produces all except :
1. Causes fatal injuries
2. Helps in lubrication
3. Optimum pressure
4. Sealing the air

Correct answer: 1. Causes fatal injuries

Explanation: A i.e. Causes fatal injuries Cartridge case of shotgun has percussion (detonator) cap at the base of rim and top wad (retaining cardboard) at topQ. Wad is responsible for separation, sealing, optimal pressurization & lubrication but not for fatal injuriesQ.